36 year old Santhosh, fights with his uncle saying that he is not his uncle. Some stranger has come in disguise in the form of his uncle to steal his property. Diagnosis:
1. Capgrass syndrome
2. Fregoli syndrome
3. Cotard syndrome
4. Alport syndrome

Correct answer: 1. Capgrass syndrome

Explanation: Capgrass syndrome is a delusional disorder where patient believes that a stranger has replaced his family member.